Viper snake occurs in -a) Hematotoxicb) Vasculotoxicc) Myotoxicd) Hepatotoxice) Neurotoxic
1. ab
2. ace
3. bde
4. bc

Correct answer: 1. ab

Explanation: Viper venom is vasculotoxic and contains hemolysin & thromboplastin, which lead to coagulation abnormalities.